Which drug is the most useful in treating an episode of antipsychotic induced acute dystonia:
1. Lorazepam
2. Haloperidol
3. Promethazine
4. Phenobarbitone

Correct answer: 3. Promethazine